Which of the following nerves has the best prognosis for repair after injury
1. Ulnar
2. Radial
3. Median
4. Lateral popliteal

Correct answer: 2. Radial

Explanation: Answer- B. RadialExcellent :- Radial, Musculocutaneous, femoral, digital aerves